What percentage of pheochromocytomas are malignant?
1. 5
2. 10
3. 20
4. 15

Correct answer: 2. 10

Explanation: b. 10(Ref: Nelson's 20/e p 2227-2729, Ghai 8/e p 525)Mnemonic:'Rule of ten' for Pheochromocytoma: ("BG MEN"): 10% of Pheochromocytoma are:* Bilateral* Malignant* Extra-adrenal: paragangliomas* Normotensive (No hypertension)Note: 10% of sporadic Pheochromocytoma are bilateral; but 50% of familial tumors are bilateral.